Multiple black floaters are due to:
1. Hemorrhages over retina
2. Particles in anterior chamber
3. Particles in vitreous
4. Opacity over cornea

Correct answer: 3. Particles in vitreous

Explanation: Ans. C: Particles in vitreous With age, the normally transparent vitreous gel liquefies and breaks up, leading to the presence of little particles and fibrous strands floating in the vitreous cavity and casts shadow onto the retina Patient may complain of seeing black dots, rings, strands etc. Vitreous Hemorrhage It is the extravasation of blood into the areas in and around the vitreous humor of the eye. The vitreous humor is the clear gel that fills the space between the lens and the retina of the eye. Causes 1. Diabetic Retinopathy The most common cause found in adults is diabetic retinopathy. Abnormal blood vessels can form in the back of the eye of a person with diabetes. These new blood vessels are weaker and prone to breaking and causing hemorrhage. 2. Trauma Trauma is the leading cause of vitreous hemorrhage in young people, and accounts for 12-18.8% of cases in adults. 3. Retinal Tear/Detachment A tear in the retina can allow fluids from the eye to leak in behind the retina, which causes retinal detachment. When this occurs, blood from the retinal blood vessels can bleed into the vitreous. 4. Posterior Vitreous Detachment As one gets older, pockets of fluid can develop in the vitreous. When these pockets develop near the back of the eye, the vitreous can pull away from the retina and possibly tear it. 5. Other Causes Proliferative sickle cell retinopathy Macroaneurysm Age-related macular degeneration Terson syndrome Retinal neovascularization as a result of branch or central retinal vein occlusion Symptoms/Diagnosis Blurry vision Floaters- faint cobweb-like apparitions floating through the field of vision Reddish tint to vision Photopsia-brief flashes of light in the peripheral vision Small vitreous hemorrhage often manifests itself as "floaters". A moderate case will often result in dark streaks in the vision, while dense vitreous hemorrhage can significantly inhibit vision. Treatments The treatment method used depends on the cause of the hemorrhage. In most cases, the patient is advised to rest with their head elevated 30-45deg and sometimes to put patches over the eyes to limit movement prior to treatment in order to allow the blood to settle. The patient is also advised to avoid taking medications that cause blood thinning (such as aspirin or similar medications). Retinal tears are closed by Laser treatment or cryotherapy, and detached retinas are reattached surgically. In cases of vitreous hemorrhage due to detached retina, long standing vitreous hemorrhage with a duration of more than 2-3 months, or cases associated with rubeosis iridis or glaucoma, a vitrectomy may be necessary to remove the standing blood in the vitreous